Which of the following is considered the MOST important risk factor for necrotizing enterocolitis?
1. Perinatal asphyxia
2. Polycythemia
3. Prematurity
4. Respiratory distress syndrome

Correct answer: 3. Prematurity

Explanation: Prematurity is the most important risk factor for necrotizing enterocolitis, although term infants also sometimes develop the condition. Clinical series have reported that between 60 and 95% of affected babies are premature, and the incidence is markedly increased in babies born at lower gestational ages. Many other purported risk factors have also been cited but seem to have a lesser effect, including perinatal asphyxia, respiratory distress syndrome, umbilical catheterization, hypothermia, shock, patent ductus arteriosus, cyanotic congenital heart disease, polycythemia, thrombocytosis, anemia, exchange transfusion, congenital GI anomalies, chronic diarrhea, non-breast milk formula, nasojejunal feedings, hypertonic formula, and colonization with necrogenic bacteria. It may simply be that any already fragile baby, particularly if premature, who has other significant underlying disease, is at increased risk for developing necrotizing enterocolitis. Ref: Thilo E.H., Rosenberg A.A. (2012). Chapter 2. The Newborn Infant. In W.W. Hay, Jr., M.J. Levin, R.R. Deterding, J.J. Ross, J.M. Sondheimer (Eds), CURRENT Diagnosis & Treatment: Pediatrics, 21e.